Increase in pauwel's angle indicate
1. Good prognosis
2. Impaction
3. More chances of displacement
4. Trabecular alignment displacement

Correct answer: 3. More chances of displacement

Explanation: Pauwel's classification - depending on angle (Pauwel's angle) formed by the line with the horizontal. More the Pauwell's angle, more unstable is the fracture with poorer prognosis Type I : <30deg Type II : 30-50deg Type III: >50deg(worst prognosis)